Ulnar nerve root is
1. C4 C5
2. C5 C6
3. C7 C8
4. C8 T1

Correct answer: 4. C8 T1

Explanation: Root value of Ulnar Nerve - Ventral rami of C8 and T1. It also get fibres of C7 from the ventral root of median nerve. Ref : B D Chaurasia's Human Anatomy , seventh edition , volume 1 , pg. no, 181 Fig Ref : B D Chaurasia's Human Anatomy , seventh edition , volume 1 , pg. no,57 (FIG. 4.14 )